Most effective treatment in borderline personality disorders?
1. Pharmacotherapy
2. Behaviour therapy
3. Combination of both pharmacotherapy and behavioural therapy
4. None

Correct answer: 2. Behaviour therapy

Explanation: Ans. is 'b' i.e., Behaviour therapy "Dialectical behavioral therapy (DBT), a type of cognitive behavioral therapy (CBT), has been developed specifically for the treatment of borderline personality disorder, and it appear to be the most effective treatment for this condition".